International health regulations covers all of the following disease except:-
1. Cholera
2. HIV/AIDS
3. Plague
4. Yellow fever

Correct answer: 2. HIV/AIDS

Explanation: The International Health Regulations (WHO IHR) does not cover HIV/AIDS. It covers :- Immediately Notifiable Diseases: Smallpox, Human Influenza, Wild Polio, SARS. Potentially Notifiable Diseases: Public health importance: Cholera, Plague, Yellow fever, Viral hemorrhagic fevers, West nile fever, Dengue, Rift valley fever, Meningococcal disease. Biological/Chemical/Radiological events. Serious illnesses of Unknown origin.